Most common cause of Cushing syndrome
1. Pituitary adenoma
2. Adrenal adenoma
3. Exogenous steroids
4. Ectopic ACTH

Correct answer: 3. Exogenous steroids

Explanation: Reference Robbins page no Pg 1125 What are the symptoms of Cushing's syndrome? weight gain. thin arms and legs. a round face. increased fat around the base of the neck. a fatty hump between the shoulders. easy bruising. wide purple stretch marks, mainly on the abdomen, breasts, hips, and under the arms. weak muscles